Post-term labor is seen in:
1. Hydramnios
2. PID
3. Anencephaly
4. Multiple pregnancy

Correct answer: 3. Anencephaly

Explanation: Ans. is c, i.e. AnencephalyRef. Dutta Obs. 9/e, p 299Causes of Post-term pregnancy:Wrong dates: Due to inaccurate LMP (most common).Biologic variability (Hereditary) may be seen in the family.Maternal factors: Primipara/elderly multipara/H/o previous prolonged pregnancy, sedentary habit.Fetal factors: Congenital anomalies: Anencephaly - (Abnormal fetal HPA axis), adrenal hypoplasia (Diminished fetal cortisol response).Placental factors: Sulphatase deficiency (Low estrogen).